Calculate GCS of 25 old head injury patient with following parameters confused,opening eyes in response to pain ,localising pain response to pain
1. 6
2. 11
3. 12
4. 7

Correct answer: 2. 11

Explanation: Glasgow coma scale: Eye opening Best verbal response Best motor response Response Score Response Score Response Score Spontaneously 4 Oriented and Converses 5 Obeys commands 6 To verbal stimuli 3 Disoriented and converses 4 Localises pain 5 To pain 2 Inappropriate words 3 Flexion- withdrawal to pain 4 Never 1 Incomprehensible words 2 Abnormal flexion (decorticate rigidity) 3 No response I Abnormal extensive obsturing 2 No response 1 Maximum score is : 15 Minimum score is :03 RE: BAILEY AND LOVE 27TH ED